Which of the following shall be seen with use of a small size BP cuff?
1. False elevation of BP
2. Falsely low value of BP
3. Cancels the effect of calcified arteries
4. Increases trans-arm impedance

Correct answer: 1. False elevation of BP

Explanation: False elevation of BP is seen with use of small cuff Blood Pressure Cuff size Bladder width >= 40% of mid-arm circumference. Bladder length 80-100% of arm circumference.